The following are the fetures of ss thalassemia major except
1. Bone marrow hyperplasia
2. Hair-on-end appearance
3. Splenomegaly
4. Increased osmotic fragility

Correct answer: 4. Increased osmotic fragility

Explanation: In thalassemia major osmotic fragility is reduced. Patients with the beta thalassemia trait generally have no unusual physical findings. In patients with beta thalassemia major, the physical findings are related to severe anemia, ineffective erythropoiesis, extramedullary hematopoiesis, and iron overload resulting from transfusion and increased iron absorption. The skin may show pallor from anemia and jaundice from hyperbilirubinemia, and the skull and other bones may be deformed secondary to erythroid hyperplasia with intramedullary expansion and cortical bone thinning. Skin ulceration may be present on the extremities. Thalassemia can result in maxillary enlargement, leading to an appearance known as chipmunk face, along with increased spaces between teeth, overbite, and malocclusion. Painful swelling of salivary glands and a dry mouth may occur, which leads to reduced salivary protection and an increased rate of tooth decay. Cardiac examination may reveal heart failure and arrhythmia (eg, atrial fibrillation), related to either severe anemia or iron overload. Abdominal examination may reveal changes in the liver, gallbladder, and spleen. Hepatomegaly related to significant extramedullary hematopoiesis is typically found. Patients who have received blood transfusions may have hepatomegaly or chronic hepatitis due to iron overload. Reference: GHAI Essential pediatrics, 8th edition